Which of the following is used for management of pneumomediastinum?
1. Breathing of high concentration of oxygen will lead to absorption of mediastinal air
2. Breathing of low concentration of oxygen will lead to absorption of mediastinal air
3. ICD tube in 2nd ICS
4. ICD tube in 5th ICS

Correct answer: 1. Breathing of high concentration of oxygen will lead to absorption of mediastinal air

Explanation: For the patients with Pneumomediastinum we have to give high conc.of O2 helps in improving O2 saturation leads to absorption of mediastinal air. If mediastinal structures are compressed, the compression can be relieved with needle aspiration.